Vitreous floaters are seen in
1. Conjunctivitis
2. Keratitis
3. Anterior Scleritis
4. Posterior uveitis

Correct answer: 4. Posterior uveitis

Explanation: Choroiditis refers to inflammation of the choroid which in most cases also involves the adjacent retina resulting in chorioretinitis. clinical features: -Painless visual symptoms like photopsia -Vitreous Floaters : black spots in front of the eyes - represent the vitreous inflammation - opacities that cast shadows on the retina - can be seen in any condition associated with vitritis - intermediate or posterior uveitis -Micropsia or macropsia -Positive scotoma Fundus examination reveals vitreous opacities with active healed stage of retinitis. Treated by systemic steroids